Reed  Sternberg cells are seen in histopathological examination of:
1. African jaw lymphoma
2. Hodgkin's disease
3. Burkitt's lymphoma
4. Infectious mononucleosis

Correct answer: 2. Hodgkin's disease